Acanthosis nigricans is seen in?
1. GI malignancy
2. Lung cancer
3. Breast cancer
4. All above

Correct answer: 4. All above

Explanation: ANSWER: (D) All aboveREF: Harrison's 18th ed chapter 53Acanthosis nigricans can also be a reflection of an internal malignancy, most commonly of the adenocarcinoma of the gastrointestinal tract, lung, uterus and breastIt appears as velvety hyperpigmentation, primarily in flexural areas. However, in the majority of patients, acanthosis nigricans is associated with obesity and insulin resistance, but it may be a reflection of an endocrinopathy such as acromegaly, Cushing's syndrome, polycystic ovary syndrome, or insulin-resistant diabetes mellitus (type A, type B, and lipoatrophic forms).